Most vascular structure of eyeball is
1. Iris
2. Ciliary body
3. Choroid
4. Sclera

Correct answer: 3. Choroid